All of the following statements regarding theophylline are true, except:
1. Increases cAMP
2. Inhibits phosphodiesterase
3. Increase in dose is required in smokers
4. Increase in dose is required in cardiopulmonary disease

Correct answer: 4. Increase in dose is required in cardiopulmonary disease

Explanation: Theophylline is a methylxanthine, used in the treatment of bronchial asthma. Its dose has to be reduced in elderly (age > 60 years), in congestive heart failure, pneumonia and liver failure.